STYLOHYOID muscle is supplied by
1. Facial
2. Glossopharyngeal
3. Ansa cervical
4. Vagus

Correct answer: 1. Facial

Explanation: Stylohyoid is a small muscle supplied by the facial nerve. The action of stylohyoid is to pull the hyoid bone upwards and backwards, and with other hyoid muscles, it also fixes the hyoid bone. Ref: BD Chaurasia's HUMAN ANATOMY, Volume 3, 4th edition.